Which of the following is an autosomal dominant disorder?
1. Duchenes muscular dystrophy
2. Fragile X syndrome
3. Fanconi's syndrome
4. Hutington's chorea

Correct answer: 4. Hutington's chorea

Explanation: Answer is D (Huntington's chorea): Huntington's chorea is inherited as autosomal dominant Disorder Inheritance Fragile X syndrome X Linked Fanconi's syndrome Autosomal recessive Duchene's dystrophy X Linked